A 28 year old female is posted for in-vitro fertilisation. It is indicated in:
1. Anovulatory cycles
2. Tubal block
3. Azoospermia
4. Uterine anomalies

Correct answer: 2. Tubal block

Explanation: The basic concept of IVF-embryo transfer (IVF-ET) initially was to bypass the potential mechanical obstacles of the female reproductive tract. It was first developed for patients with severe tubal disease, for patients with bilateral salpingectomy, or for women whose tubes are so badly damaged that they cannot function. Also know: Indications for assisted reproductive technologies (ART) include the following: Male factor infertility Tubal disease (tubal and pelvic adhesions) Absent or damaged fallopian tubes Endometriosis Preimplantation genetic diagnosis (PGD) Need for third-party reproduction/donor eggs or gestational surrogate Unexplained infertility Age-related infertility Decreased ovarian reserve Recurrent intrauterine insemination failure Ref: Michalakis K.G., DeCherney A.H., Penzias A.S. (2013). Chapter 57. Assisted Reproductive Technologies: In Vitro Fertilization & Related Techniques. In A.H. DeCherney, L. Nathan, N. Laufer, A.S. Roman (Eds),CURRENT Diagnosis & Treatment: Obstetrics & Gynecology, 11e.